The dose of OPV, given at birth, in case of institutional deliveries is-
1. Zero dose OPV
2. Initial dose
3. Primary dose
4. First dose

Correct answer: 1. Zero dose OPV

Explanation: .The dose of OPV, given at birth, in case of institutional deliveries is-zero dose OPV. ref:park's textbook,ed 22,pg no 184